Whorled keratopathy is seen with the use of:
1. Digoxin
2. Amiodarone
3. Ethambutol
4. Steroids

Correct answer: 2. Amiodarone

Explanation: Ans: B (Amiodarone) Ref: kanski 7th edition Clinical Ophthalmology page no 862 - 863Explanation:Vortex Keratopathy/ CorneaverticillataCharacterized by whorl like corneal epithelial depositsIn chronological order it starts as bilateral brow n opacities in the inferior cornea - whorl like patternDRUGS-Antimalarials - chloroquine & hydrxychloro- quineNo relationship with dosage or durationReversible on cessation of therapyOther ocular manifestations - Cataract, bull's eye retinopathyAMIODARONE - anti arrhythmic drugDeposits are more in high dose usage & longer duration usage: but slowly reversible with cessation of amiodaroneOther ocular manifestations - Anterior subcapsular lens deposits. Optic neuropathy